Sensory nerve supply above the level of vocal cords is:
1. Glossopharyngeal
2. Superior laryngeal
3. Recurrent laryngeal
4. Pharyngeal branch of vagus

Correct answer: 2. Superior laryngeal

Explanation: Sensory nerve supply to larynx above the level of vocal cords is superior laryngeal nerve, while below the cords it is recurrent laryngeal nerve. Superior laryngeal nerve is a branch of vagus. It divides into two branches - external laryngeal supplying motor fibres to cricothyroid muscle and an internal laryngeal nerve which runs submucosally in pyriform fossa and supplies the larynx.